Angioid streak is seen in -
1. Tuberous sclerosis
2. Pseudoxanthoma elasticum
3. Sturge weber syndrome
4. Septo optic dysplasia

Correct answer: 2. Pseudoxanthoma elasticum